Thrush:
1. Occurs only in elderly
2. Is caused by a gram -ve bacteria
3. Is seen clinically as a proliferative lesion
4. Responds to nystatin

Correct answer: 4. Responds to nystatin